Which of these drugs can be a cause of rhabdomyolysis?
1. Statins
2. Salicylates
3. Antidepressants
4. All of these

Correct answer: 4. All of these

Explanation: Ans. D. All of theseMany drugs can cause rhabdomyolysis. They can cause rhabdomyolysis, both in therapeutic doses and in toxic doses. Some important drugs among these include antidepressants, antipsychotics, statins, corticosteroids, salicylates, many chemotherapeutic agents, and some anaesthetics.